Digoxin is contraindicated in(REPEAT)
1. Supraventricular tachycardia
2. Atrial fibrillation
3. Congestive heart failure
4. Hypertrophic obstructive cardiomyopathy

Correct answer: 4. Hypertrophic obstructive cardiomyopathy

Explanation: non selective beta blockers(propanolol)are the Agents of choice for hypertrophic obstructive cardiomyopathy in hypertrophic obstructive cardiomyopathy, the left ventricular outflow tract is narrowed during systole due to hypertrophic septum.. obstraction is worsened by Factors increasing myocardial contractility-digitalis,sympathetic stimulation factors decreasing left ventricular filling-valsalva maneuver,peripheral vasodilators Refer kDT 6/e p143